P2 is best appreciated in :
1. 2nd left intercostal space
2. 2nd right intercostal space
3. 4th left intercostal space
4. 5 left intercostal space

Correct answer: 1. 2nd left intercostal space

Explanation: Answer is A (2nd left intercostal space) The pulmonary component (P2) of the Second Heart sound (S2) is best heard over the Pulmonary Area located at the second intercostal space to the left of the sternum (along left sternal border). A2 is best heard over the aortic area in the right second intercostal space P2 is best heard over the pulmonic area in the left second intercostal space Second heart sound (S2) is best heard over the pulmonic area (Since both A2 and P2 can be heard at the pulmonic area) and at the Erb 's Point. Note that even at the pulmonic area A2 is louder than P2